What is the effect of rheumatoid arthritis on the lung?
1. DLco normal
2. CXR is normal
3. Exudative pleural effusion
4. Flow volume pattern showing an obstructive pattern

Correct answer: 3. Exudative pleural effusion

Explanation: Ans. C. Exudative pleural effusionLung Disease in Rheumatoid Arthritis* Most common pulmonary manifestation is pleural involvement leading to pleural friction rub and effusion.* This is due to inflammatory breakdown of pulmonary nodules.* Pleural effusions tend to be exudative with increased numbers of monocytes and neutrophils.* Interstitial lung disease. Pulmonary function testing shows a restrictive pattern (e.g. reduced total lung capacity) with a reduced diffusing capacity for carbon monoxide (DLCO).* Caplan's syndrome is characterized by the development of nodules and pneumoconiosis following silica exposure.